Vogt-Koyanagi-Harada (VKH) syndrome is:
1. Chronic granulomatous uveitis
2. Chronic non-granulomatous uveitis
3. Acute purulent uveitis
4. None

Correct answer: 1. Chronic granulomatous uveitis

Explanation: Ans. Chronic granulomatous uveitis